For Significant results p-value should be:-
1. < 0.1
2. < 0.5
3. < 0.01
4. < 0.05

Correct answer: 4. < 0.05

Explanation: P value should be <5% (0.05) for test results to be significant. - P - value - Probability of type I error - Alpha - Maximum threshold of type I error . Globally accepted value of alpha - 5% - Beta --Probability of type II error - If P< alpha- Significant results.